All of the following are used to assess the nutritional status of an individual, except –
1. Urinary nitrogen excretion
2. Mid arm circumference
3. Serum immunoglobulin
4. Serum transferrin

Correct answer: 3. Serum immunoglobulin